Cataract caused due to Blunt trauma to the Eye
1. Sunflower cataract
2. Lamellar cataract
3. Rosette cataract
4. Christmas tree cataract

Correct answer: 3. Rosette cataract

Explanation: Cataract caused due to Blunt trauma to the Eye is Rosette cataract.